Triplex DNA is clue to
1. Hoogsteen Pairing
2. Palindromic sequences
3. Large no. of guanosine repeats
4. PolypYrimidine tracts

Correct answer: 1. Hoogsteen Pairing

Explanation: Triple- stranded DNA- forms hydrogen bonds with another surface of the double helix through called Hoogsteenpairs.